Belimumab is used in
1. Osteoporosis
2. Malignant melanoma
3. Merkel cell carcinoma
4. Systemic lupus erythematous

Correct answer: 4. Systemic lupus erythematous

Explanation: Belimumab is a monoclonal antibody against B - cell activating factor ( BAFF ) and is thus useful in decreasing autoimmune response in Systemic lupus erythematous .